What is the most probable portal of entry of a Aspergillus -
1. Puncture wound
2. Blood
3. Lungs
4. Gastrointestinal tract

Correct answer: 3. Lungs

Explanation: Ans. is 'c' i.e., Lungs Aspergillosis Aspergillus fumigatus is the most common cause of aspergillosis. Aspergillus is a mould with septate branching hyphae. Ability of A. fumigatus to grow at 45 C helps to distinguish it from other species. Mode of transmission --> Inhalation of Aspergillus spores (Conidia). The commonest human disease caused by aspergillus is otomycosis. Aspergillus infection in neutropenic patient is characterized by hyphal invasion of blood vessels, thrombosis, necrosis and hemorrhagic infarction.